Amongst the following, extrapyramidal side effect is commonest with which drug:
1. Thioradizine
2. haloperidol
3. Clozapine
4. Ziprasidone

Correct answer: 2. haloperidol

Explanation: Ans. B: Haloperidol Extrapyramidal disturbances are the major dose limiting side effects of neuroleptics; more prominent with high potency drugs like fluphenazine, haloperidol, pimozide etc., least with thioridazine, clozapine, and all other atypical antipsychotics, except high doses of risperidone.